Sclera is thinnest at
1. Near the optic nerve
2. At insertion of the extra ocular muscles
3. Around the limbus
4. Nasally

Correct answer: 2. At insertion of the extra ocular muscles

Explanation: (Refer: AK Khurana Comprehensive Ophthalmology, 6th edition, pg no. 140) The thickest part of the sclera - Near the optic nerve (at the posterior pole)The thinnest part of the sclera- Near the insertion of extraocular muscles ref khurana 6th edition pg 566